Intra epidermal splitting is found in –
1. Bullous pemphigoid
2. Pemphigus foliaceous
3. Dermatitis herpetiformis
4. Burns

Correct answer: 2. Pemphigus foliaceous

Explanation: In pemphigus group of lesions, intraepidermal splitting is seen.
Pemphigus group includes, P. vulgaris, P. vegetans, P foliaceous, P. erythematosus.